Thumb print sign is seen in:
1. Crohn's disease
2. Deal carcinoma
3. Ischemic colitis
4. Lymphoma of colon

Correct answer: 3. Ischemic colitis

Explanation: Ans. C: Ischemic colitis Earlier features of intestinal ischemia seen on abdominal radiographs include bowel wall edema, known as "thumb printing". Radiological signs in GIT: Thumb printing sign: Ischemic colitis Bird of prey sign: Sigmoid volvulus Double bubble sign (X-ray abdomen): - Annular pancreas - Duodenal atresia String sign: - Crohn's disease - Pyloric stenosis Single bubble sign: Pyloric stenosis Chain of lake appearance: Chronic pancreatitis Fox sign: Acute pancreatitis Widening of duodenal C loop: Carcinoma of head pf pancreas